Which of the following muscles originates from the
zygomatic process of maxilla?
1. Medial pterygoid
2. Lateral pterygoid
3. Superficial layer of masseter
4. Posterior portion of the buccinator

Correct answer: 3. Superficial layer of masseter

Explanation: Masseter is one of the muscles of mastication, covering the lateral surface of mandibular ramus.
Origin: 

​Superficial layer: From anterior 2/3rd of lower border of zygomatic arch and adjoining zygomatic process of maxilla.
Deep layer: From deep surface of zygomatic arch.

Insertion: 

Superficial layer: Into lower part of lateral surface of ramus.
Deep layer: Into rest of the ramus of mandible.

Nerve Supply:

Masseteric nerve, a branch of anterior division of mandibular nerve.